Treatment of acute dacrocystitis in stage of cellulitis is ?
1. Antibiotics
2. Abscess drainage
3. DCT
4. DCR

Correct answer: 1. Antibiotics

Explanation: Ans. is 'a' i.e., Antibiotics Treatment of acute dacryocystitis During cellulitis stage It consists of systemic and topical antibiotics to control infection; and systemic anti-inflammatory analgesic drugs and hot fomentation to relieve pain and swelling. During stage of lacrimal abscess In addition to the above treatment when pus starts pointing on the skin, it should be drained with a small incision. The pus should be gently squeezed out, the dressing done with betadine soaked roll gauze. ?Later on depending upon condition of the lacrimal sac either DCT or DCR operation should be carried out, otherwise recurrence will occur. Treatment of external lacrimal fistula After controlling the acute infection with systemic antibiotics, fistulectomy along with DCT or DCR operation should be performed.